What is the most important aspect of management of burn injury in the first 24 hours?
1. Fluid resuscitation
2. Dressing
3. Escharotomy
4. Antibiotics

Correct answer: 1. Fluid resuscitation

Explanation: Fluids used are normal saline, ringer lactate, Hartmann fluid, plasma. Ringer lactate is the fluid of choice. Blood is transfused in later period (after 48 hours). First 24 hours only crystalloids should be given. (Crystalloids are one which can pass through capillary wall like saline either hypo, iso or hypertonic, dextrose saline, ringer lactate.). ref:SRB;s manual of surgery,ed 5,pg no 133